Chronic renal failure is often complicated by all of the following except?
1. Myopathy
2. Hemolytic uremic syndrome
3. Peripheral neuropathy
4. Ectopic calcification

Correct answer: 2. Hemolytic uremic syndrome

Explanation: OPTION B- Hemolytic uremic syndrome is a cause of development of Acute kidney injury. OPTION A , C , D - The toxins in CRF cause- myopathy and neuropathy hyperphosphatemia explains the ectopic calcification of tubules